How many ATPs are produced in the conversion of phosphoenolpyruvate to citrate, including ATP formed from the oxidative phosphorylation of reduced coenzymes?
1. 1
2. 2
3. 4
4. 6

Correct answer: 3. 4

Explanation: One ATP is formed in the conversion of PEP to pyruvate, and one NADH (equivalent of three ATPs) is formed in the oxidative decarboxylation of pyruvate to acetyl CoA. Ref: Bender D.A., Mayes P.A. (2011). Chapter 17. The Citric Acid Cycle: The Catabolism of Acetyl-CoA. In D.A. Bender, K.M. Botham, P.A. Weil, P.J. Kennelly, R.K. Murray, V.W. Rodwell (Eds), Harper's Illustrated Biochemistry, 29e.